Stapler used for MIPH:-
1. Linear cutting stapler
2. Circular cutting stapler
3. Linear stapler
4. Circular stapler

Correct answer: 2. Circular cutting stapler

Explanation: Procedure for prolapse and hemorrhoidectomy- also known as or MIPH - also known as or stapled hemorrhoidectomy MIPH Minimally invasive proctoscopic hemorrhoidectomy - In this procedure a circular cutting stapler is used to excise a short - Circumferential segment of rectal mucosa proximal to dentate line, thus ligating venules feeding the hemorrhoides.